An early systolic murmur may be caused by all of the following except:
1. Small ventricular septal defect
2. Papillary muscle dysfunction
3. Tricuspid regurgitation
4. Aortic stenosis

Correct answer: 4. Aortic stenosis

Explanation: Answer is D (Aortic stenosis) The murmur of Aortic Stenosis is characteristically an ejection systolic murmur Q that occurs in midsystole (starts only shortly after SI and never with SI) when the ventricular pressure becomes high enough to open the semilunar valve. The murmur increases in intensity as the velocity of ejection increases and as ejection declines it decreases. The murmur ends before ventricular pressure falls enough to permit closure of aortic or pulmonary leaflets.